All of the following drugs may be used in the treatment of ulcerative colitis Except
1. Corticosteroids
2. Azathioprine
3. Sulfasalazine
4. Methotrexate

Correct answer: 4. Methotrexate

Explanation: Ans. is 'd' i.e., Methotrexate Methotrexate in crohn's disease Methotrexate has been shown to be effective for inducing remission in patients with steroid dependent and steroid refractory crohn's disease. Agents that may be used for treatment of ulcerative colitis 5-ASA Glucocorticoids Azathioprine and 6 mercaptopurine Cyclosporine or TNF alpha therapy (Infliximab). Tacrolimus is a macrolide antibody that has shown to be effective in adults with steroid dependent or refractory ulcerative colitis. Drugs used in crohn's disease Cyclosporine or infliximab 6-Mercaptopurine or azathioprine Glucocorticoid IV Glucocorticoid oral Glucocorticoid rectal 5-ASA rectal or oral